Anterior choroidal artery is a branch of:
1. Internal carotid artery
2. Vertebral artery
3. Basilar artery
4. Maxillary artery

Correct answer: 1. Internal carotid artery

Explanation: Ans. A. Internal carotid arteryThe anterior choroidal artery originates from the internal carotid artery.The internal carotid artery is located in the inner side of the neck in contrast to the external carotid artery. In human anatomy, they arise from the common carotid arteries where these bifurcate into the internal and arteries at cervical vertebral level 3 or 4; the internal carotid artery supplies the brain including eyes, while the external carotid nourishes other portions of the head, such as face, scalp, skull, and meninges.